White fibers are present in
1. Calf muscle
2. Extraocular muscle
3. Back muscle
4. Hip muscle

Correct answer: 2. Extraocular muscle

Explanation: Ans. (b) Extraocular muscles(Ref: Ganong, 25th ed/p. 108)Motor unit innervates very few (three to six) muscle fibers in muscles concerned with fine, precise, graded movements like extra ocular muscles and hand muscles - these are the white muscle fibers